Which of the following is known as the lung fluke?
1. S mansoni
2. S haematobium
3. Paragonimus spp
4. Clonorchis sinensis

Correct answer: 3. Paragonimus spp

Explanation: Blood flukes : all are members of the genus Schistosoma (S mansoni, S haematobium, and S japonicum) Lung fluke : (Paragonimus spp.) and Liver fluke (Clonorchis sinensis) flukes, which are hermaphroditic. Although most of the 5 million human infections are concentrated in the Far East (eg, Korea, Japan, China, Taiwan, the Philippines, and Indonesia), paragonimiasis has recently been described in India, Africa (P africanus), and Latin America (P mexicanus). Infected snails often found in mountain streams. Humans are infected by ingesting infected crustaceans. Ref: Ray C.G., Ryan K.J. (2010). Chapter 56. Trematodes. In C.G. Ray, K.J. Ryan (Eds), Sherris Medical Microbiology, 5e.